In prokaryotes, which of the following is present:
1. Nucleolus
2. ER
3. Golgi bodies
4. Muramic acid

Correct answer: 4. Muramic acid

Explanation: Muramic Acid is one of the important components of the peptidoglycan wall present in the cell wall of prokaryotic cells